Which of the following will occur in an exclusively breast fed baby -
1. Jaundice
2. Scurvy
3. Tetany
4. Eczema

Correct answer: 1. Jaundice

Explanation: Ans. is 'a' i.e., Jaundice o "13% of breast fed infants develop unconjugated hyperlbilirubinemia in the 1st week of life. The breast fed infants have higher, bilirubin levels than formula fed infants." o It is due to inhibitory substances (Pregananediol and free fatty acids) in breast milk that interfere with bilirubin conjugation.